A test which produces similar results when repeated, but values obtained are not close to actual/true value,is:
1. Precise but inaccurate.
2. Precise but accurate.
3. Imprecise and accurate.
4. Imprecise and inaccurate.

Correct answer: 1. Precise but inaccurate.